The assessment of Health Programme where the benefit is expressed in terms of results achieved is called -
1. Cost benefit analysis
2. Cost effective analysis
3. Cost accounting
4. Cost containment

Correct answer: 2. Cost effective analysis

Explanation: Ans. is `b' i.e., Cost effective analysis Cost-benefit analysi o The economic benefit of any programme are compared with the cost of that programme. o The benefits are expressed in monetary terms. Cost - effective analysis It is similar to cost - benefit analysis except that benefit, instead ofbeing expressed in monetary terms is expressed in terms of results achieved, e.g., number of live saved, the number of days free from disease. Cost-accounting Cost accounting establishes budget and actual cost of operations or processes and the analysis of variance, profitability or social use of funds.